What is the action of anconeus?
1. Primary elbow extensor
2. Assists Extension of elbow
3. Wrist extension
4. Thumb Abduction

Correct answer: 2. Assists Extension of elbow

Explanation: Ans. is 'b' i.e., Assists Extension of elbow Anconeus* Anconeus originates on the posterior surface of the lateral epicondyle of the humerus and inserts distally on the posterior surface of the ulna.* Anconeus is innervated by a branch of the radial nerve* Its role in elbow extension is trivial in humans. It assists in extension of the elbow, where the triceps brachii is the principal agonist, and supports the elbow in full extension.* It also prevents the elbow joint capsule being pinched in the olecranon fossa during extension of the elbow.